An infectious disease shows the Iceberg phenomenon. This means it has
1. More case fatality rate
2. More SAR
3. More subclinical cases
4. More complications

Correct answer: 3. More subclinical cases

Explanation: Iceberg phenomenon - it gives the spectrum of disease in a community Visible part - denotes clinically apparent cases of disease in the community Part below the water- denotes the latent, subclinical and undiagnosed cases in the community Some diseases exhibiting Iceberg phenomenon Diabetes Hypertension Malnutrition Ref: 25th edition Park's Textbook of Preventive and Social Medicine, Page no. 46